This law of plethysmography explains principle of working in
1. Capnography
2. Oximetry
3. CVP monitor
4. Entropy

Correct answer: 2. Oximetry

Explanation: The  law of plethysmography explains working of pulse oximeter.